Which of the following graft is commonly used to replace defective mandibular condyles in children:
1. Costochondral graft.
2. Sternoclavicular graft.
3. Calvarial graft.
4. Metatarsal graft.

Correct answer: 1. Costochondral graft.